A discontinuous antigen epitope is:
1. Presented by MHC molecules.
2. Produced by amino acid residues on non-adjacent polypeptide sequences.
3. Representative of only a minority of B-cell epitopes.
4. Produced by a continuous linear peptide sequence.

Correct answer: 2. Produced by amino acid residues on non-adjacent polypeptide sequences.

Explanation: Epitopes are Structurally distinct or discreet areas on an antigen which are recognized by the T cells and the B cells and to which immune response develops Most antigens are structurally complex and usually have many epitopes with different specifications Exposure to a microorganism will generate an immune response to many different epitopes Epitopes may be contained within a single segment of primary sequence - sequential or linear. They are not destroyed by denaturation May be assembled from residues far apart in the primary sequence but brought together on the surface by the folding of molecule into its native configuration, the tertiary structure- conformational or discontinuous epitopes.They are destroyed by denaturation.